An embolus which passes through an arteriovenous communication and enters the systemic circulation is called?
1. Paradoxical embolus
2. Retrograde embolus
3. Saddle embolus
4. Atheroembolus

Correct answer: 1. Paradoxical embolus

Explanation: Rarely, an embolus passes through an atrial or ventricular defect and enters the systemic circulation called paradoxical embolism.
Pulmonary Embolus can occlude the main pulmonary artery, lodge at the bifurcation of the right and left pulmonary arteries called saddle embolus.
Robin’s Textbook of pathology 10th ed Page 112